Middle Supra renal arthery is a branch of
1. Abdominal aorta
2. Renal artery
3. Inferior phrenic artery
4. All of the above

Correct answer: 1. Abdominal aorta

Explanation: A. Abdominal aorta (217-snell 7th) (338-BDC-3 6th) SUPRARENAL GLAND 1. Arterial supply- Each gland is supplied by A. Superior suprarenal artery-a. branch of inferior phrenic artery B. Middle suprarenal artery- a branch of the abdominal aorta C. Inferior suprarenal artery- a branch of the renal artery 2. Venous drainage i. Right suprarenal vein drains to -IVC** ii. Left suprarenal vein drain in to left renal vein ** 3. Development i. Cortex of the gland -Mesoderm of coelomic epithelium ii. Medulla -Neuroectoderm ** * Double superior vena cava- occurs due to persistence of left anterior cardinal vein. The right SVC opens directly into right atrium while one opens through coronary sinus * Double inferior vena cava- is formed below renal veins due persistence of both the sub cardinal and supracardinal vein below the kidney **